Nasopharynx extends from
1. Skull base to the soft palate
2. From soft palate to epiglottis
3. Epiglottis to cricoid cartilage
4. None

Correct answer: 1. Skull base to the soft palate